Drug used in the treatment of gastric ulcer due to H. pylori is:
1. Anticholinergics
2. Carbenoxolone sodium
3. Bismuth sub citrate
4. Corticosteroid

Correct answer: 3. Bismuth sub citrate

Explanation: Bismath taken as suspension it is thought to act by decreasing PG synthesis in the intestinal mucosa there by reducing cl secretion ESSENTIALS OF MEDICAL PHARMACOLOGY SEVENTH EDITION kD TRIPATHI Pg no.686